46 year old chronic alcoholic, one day after abstinence from alcohol comes to casualty presenting with restlessness, seizures, coarse tremors. He is not able to recognize the doctor, he think himself in a jail. He also complains uncontrolable fear of being murdered, insomnia and insects crawling over body, probable diagnosis is -
1. Alcoholic seizures (rum fits)
2. Korsakoff's psychosis
3. Delirium tremens
4. Alcoholic hallucinosis

Correct answer: 3. Delirium tremens

Explanation: Symptoms of delirium after alcohol withdrawal suggest the diagnosis of delirum tremens.